The following statements are related to the therapy of iron deficiency anaemia except
1. Oral iron can be given only If anemia is detected before 20 weeks of pregnancy
2. Parenteral iron therapy markedly increases the reticulocyte count within 7-14 days
3. Parenteral therapy is ideal during 30-36 weeks
4. Blood transfusion may be useful in severe anaemia beyond 36 weeks

Correct answer: 1. Oral iron can be given only If anemia is detected before 20 weeks of pregnancy

Explanation: Oral iron is preferred till 30 weeks of pregnancy even in severe anemia If their is intolerence or noncompliance, parenteral iron is given. Between 30 and 36 weeks, parenteral iron is preferred and after 36 weeks blood transfusion. Oral folate is mandatory in all cases Reference :Textbook of Obstetrics; Sheila Balakrishnan; 2nd edition; Page no: 288